Glass ionomer cements are composed of
1. Aluminosilicate powder and phosphoric acid
2. Aluminosilicate powder and polyacrylate
3. Zinc oxide powder and phosphoric acid
4. Zinc oxide powder and polyacrylate liquid

Correct answer: 2. Aluminosilicate powder and polyacrylate

Explanation: Glass-ionomer cement is often known as a biomimetic material, because of its similar mechanical properties to dentine.
Synonyms

Poly (alkenoate) cement
GIC (glass ionomer cement)
ASPA (alumino silicate polyacrylic acid)

Ref: Mannapalli ed 3 pg 67